Which one of the following morphological characteristic is representative of all posterior maxillary teeth?
1. Marked mesial concavity on crowns and roots.
2. Tips of cusps are well within the confines of the root trunks.
3. From mesial/distal aspect, crowns are rhomboidal in shape.
4. From mesial/distal aspect, all maxillary posterior crowns are trapezoidal with shortest uneven side toward occlusal surface.

Correct answer: 4. From mesial/distal aspect, all maxillary posterior crowns are trapezoidal with shortest uneven side toward occlusal surface.

Explanation: From MD aspect, all posterior teeth have a trapezoidal outline with shortest uneven side toward the occlusal surface.
A, Present posteriorily on first premolar;
B, Exceptions may be the DB root of the maxillary second molar;
C, From mesial and distal aspect, all posterior mandibular teeth, not maxillary posterior teeth, have a rhomboidal outline